Sweating is absent in:
1. Heat syncope
2. Heat exhaustion
3. Heat stroke
4. Heat cramps

Correct answer: 3. Heat stroke

Explanation: Ans. Heat stroke